About Apoptosis true statement is
1. Injury due to hypoxia
2. Inflammatory reaction is present
3. Council man bodies are associated with apoptosis
4. Cell membrane is damaged

Correct answer: 3. Council man bodies are associated with apoptosis

Explanation: Ref, Robbins 8/e p25;7/e26;9/e p823